Least toxic compound of lead is -
1. Lead acetate
2. Lead oxide
3. Lead carbonate
4. Lead sulphide

Correct answer: 4. Lead sulphide

Explanation: Lead sulphide is the least toxic salt of lead.